Transferrin saturation is?
1. Serum iron/TIBC x100
2. TIBC/serum iron x100
3. TIBC/serum iron
4. Serum iron/TIBC

Correct answer: 1. Serum iron/TIBC x100

Explanation: Ans. A. Serum iron / TIBC x100Transferrin saturation =TIBCSerumiron x100Usual valuesNormal reference ranges are:a. Serum iron: 60-170mg/mlb. TIBC:240-450mg/mlc. Transferrin saturation: 15-50% (males), 12-45% (females)